Cytokine having pyrogenic activity is:-
1. TGF-beta
2. IL-6
3. IL-5
4. IL-2

Correct answer: 2. IL-6

Explanation: Cytokines responsible for development of fever IL -1 IL-6 TNF alpha CNTF (ciliary neurotrophic factor) Interfer on alpha IL -18 is not responsible for causing fever